Which is neuromuscular blocker of choice for rapid sequence induction if succinylcholine is contraindicated.
1. Rocuronium
2. Rapacuronium
3. Vecuronium
4. Atracurium

Correct answer: 1. Rocuronium

Explanation: Intubating conditions provided by rocuronium are excellent and comparable to succinylcholine at dose 1.0 mg/kg at similar onset time.